In the earliest stages of carious Lesion. There is loss of:
1. Enamel cuticle
2. Interprismatic substance
3. Organic matrix
4. Enamel lamellae

Correct answer: 2. Interprismatic substance